All are derived from branchial arch EXCEPT?
1. Ultimobranchial body
2. Stapes
3. Laryngeal cartilage
4. Mandible

Correct answer: 1. Ultimobranchial body

Explanation: Ans. (a) Ultimobranchial bodyRef: Inderbir Singh's Embroyology, 7th ed. /119-120* In humans, the ultimobranchial body is an embryological structure that gives rise to the calcitonin-producing cells--also called parafollicular cells or C cells--of the thyroid gland.* In humans, this body is a derivative of the ventral recess of the fourth pharyngeal pouch.* Stapes: from 2nd Branchial arch* Laryngeal cartilage: from 6th branchial arch* Mandible: from 1st branchial arch